Polychromatic lusture is seen in -
1. Complicated cataract
2. Diabetes mellitus
3. Post radiation cataract
4. Congenital cataract

Correct answer: 1. Complicated cataract

Explanation: Ans. is 'a' i.e., Complicated cataract Complicated cataracto Complicated cataract refers to the lens opacification secondary to some other intraocular disease. Anterior uveitis is the most common cause. Other causes are posterior uveitis, pars planitis, comeal ulcer, ciliary body tumors, degenerative myopia, retinitis pigmentosa and retinal detachment.o Typically complicated cataracts occur in two forms :-Posterior cortical complicated cataractThis type of cataract is due to affections of posterior segment. This cataract is located in a posterior subcapsular cataract and typically opacification starts in the posterior part of the cortex in the axial region (Posterior cortical cataract or posterior subcapsular cataract). On slit lamp examination the opacities have "bread- crumb" appearance. A characteristic sign is presence of polychromatic lusture of red, green and blues.Anterior cortical complicated cataract This is due to the affection of anterior segment like glaucoma or anterior uveitis.